The hertwig's epithelial root sheath is essential to development of the root because it
1. Gives rise to cementoblasts that produce cementum of the root
2. Moulds the shape of roots and stimulates differentiation of odontoblasts
3. Given rise to odontoblasts that lay down dentin of the root
4. Remains as an essential constituent of the periodontal ligament

Correct answer: 2. Moulds the shape of roots and stimulates differentiation of odontoblasts